Which of the following is false about spina bifida occulta?
1. It is failure of bony fusion of the vertebral column
2. There is skin covering overlying the vertebral defect
3. Presence of a tuft of hair , lipoma or sinus on skin indicates a defect in spinal cord
4. Early surgical repair is usually indicated

Correct answer: 4. Early surgical repair is usually indicated

Explanation: - 'Spina bifida occulta' is failure of bony fusion of the vertebral column - It is covered by skin, with or without an overlying tuft of hair, lipoma or sinus. - It usually requires no treatment. - Sometimes, sinus carries risk of recurrent meningitis - then should be excised